False about primary intraocular lymphoma
1. Affects elderly patients
2. No systemic involvement
3. It is a Hodgkin's lymphoma
4. Increased risk of development of concurrent primary CNS lymphoma

Correct answer: 3. It is a Hodgkin's lymphoma

Explanation: It is a Non - Hodgkin's B-cell lymphoma.